Mechanism of action of curare is :
1. Reducing end plate potential
2. Reducing presynaptic potential
3. Inhibits k+ channels
4. Inhibits Na+ channels

Correct answer: 1. Reducing end plate potential